Fast fatigable motor unit are recruited
1. First
2. Last
3. During active part of contraction
4. During relaxation

Correct answer: 2. Last

Explanation: White muscle fibers are the fast fatigable motor units and are recruited last Red muscle fibers are rich in mitochondria and hence don't get fatigue soon Ref:Guyton and Hall textbook of medical physiology 12th edition,page number:91,92,93